Cause of exudative retinal detachment are:
1. Scleritis
2. Toxaemia of pregnancy
3. Central serous retinopathy
4. All

Correct answer: 4. All

Explanation: Ans. All